In Beri-Beri, which enzyme activity is measured?
1. Transketolase
2. Tranaminase
3. Decarboxylase
4. Deaminase

Correct answer: 1. Transketolase

Explanation: Severe thiamine deficiency is associated with: Decreased RBC transketolase activity this is the earliest manifestation seen even before clinical disturbances Thiamin is a cofactor of Transketolase pyruvate, alpha-ketoglutarate and lactate level in blood increases in thiamine deficiency ref: DM Vasudevan 8th ed page 467